Which is not a 2nd generation anti–histaminic agent ?
1. Cetirizine
2. Cyclizine
3. Loratadine
4. Fexofenadine

Correct answer: 2. Cyclizine

Explanation: Antihistaminics may be classified into the first generation and the second generation compounds on the basis of CNS penetration and anticholinergic properties. First Generation Anti-histaminics can penetrate the blood-brain barrier and possess additional anticholinergic properties which are lacking in second-generation drugs. Cyclizine is the first generation whereas cetirizine, loratadine and fexofenadine are second generation drugs.